When root canal instruments (files and reamers) are sterilized in a glassbead sterilizer at 450 degree F., they should be placed in the sterilizer for
1. 2 seconds
2. 5 seconds
3. 10 seconds
4. 20 seconds

Correct answer: 2. 5 seconds